Pain and arthritis of distal interphalangeal joint is seen in
1. Osteoarthritis
2. Rheumatoid Arthritis
3. Ankylosing spondylitis
4. Dequervain's disease

Correct answer: 1. Osteoarthritis

Explanation: Answer- A. Osteoarthritis